Surgery of choice for chronic acquired dacryocystitis
1. Dacryocystorhinostomy
2. Dacryocystectomy
3. Conjunctivo-cystorhinostomy
4. None

Correct answer: 1. Dacryocystorhinostomy

Explanation: Ans. is 'a' i.e., Dacryocystorhinostomy Treatment of chronic dacryocystitis Congenital Adult (acquired) Massage over lacrimal sac with antibiotic eye drops Conservative :- Massage, antibiotic drops, probing, Syringing (irrigation) with normal saline & syringing antibiotic solution Dacryocystorhinostomy (DCR) :- Surgery of hoice Probing of nasolacrimal duct Dactyocystectomy (DCT) Intubation with silicone tube Conjunctivocystorhinostom Dacryocystorhinostomy (DCR)